A 2-year-old child comes with discharge, seborrheic dermatitis, polyuria and hepatosplenomegaly. Which of the following is the most likely diagnosis -
1. Leukemia
2. Lymphoma
3. Langerhan's cell histiocytosis
4. Germ cell tumour

Correct answer: 3. Langerhan's cell histiocytosis